The following drug has anxiolytic action with least sedation
1. Buspirone
2. Triazolam
3. Alprazolam
4. Chlordiazepoxide

Correct answer: 1. Buspirone

Explanation: Features of Buspirone Non-benzodiazepine anxiolytic agentDoes not produce significant sedation or cognitive/functional impairmentDoes not interact with BZD receptor or modify GABAergic transmissionDoes not produce tolerance or physical dependence Does not suppress BZD or barbiturate withdrawal syndrome Has no muscle relaxant or anticonvulsant activity (Refer: KD Tripathi's Essentials of Medical Pharmacology, 7th edition, pg no: 466-467)